Increase in cardiac output seen in pregnancy is:
1. 10%
2. 20%
3. 30%
4. 40%

Correct answer: 4. 40%

Explanation: Ans. D: 40%The cardiac output starts to increase from 5t1 week of pregnancy and reaches its peak 40-50% at about 30-34 weeks. Cardiac output increase further during labour (+50%) and immediately following delivery (+70%)